Renal collar which surrounds the aorta has its two limbs split by -
1. Left renal vein
2. Left renal artery
3. Isthumus of horseshoe kidney
4. All of the above

Correct answer: 1. Left renal vein

Explanation: • The main renal vein divides and sends one limb anterior and another limb posterior to aorta to reach the IVC.
• Formed on the left side and represents persistence of the embryonic state.